Treatment of Gonococcal ophthalmica neonatoram do not include
1. Topical Atropine
2. iv Bacitracin
3. Ceftriaxone im
4. Topical Bacitracin

Correct answer: 2. iv Bacitracin

Explanation: Treatment of Gonococcal ophthalmica neonatoram do not include

Topical Atropine
Ceftriaxone im
Topical Bacitracin